Which of the following is a supraventricular tachycardia?
1. Atrioventricular nodal re-entry tachycardia (AVNRT)
2. Atrioventricular re-entry tachycardia (AVRT)
3. Atrial tachycardia
4. All of the above

Correct answer: 4. All of the above

Explanation: The term supraventricular tachycardia (SVT) encompasses many tachycardias in which atrial or atrioventricular nodal tissue are essential for sustaining the arrhythmia. In practice, however, the term SVT is generally used to refer to atrioventricular nodal re-entry tachycardia (AVNRT), atrioventricular re-entry tachycardia (AVRT), and atrial tachycardia. Differential diagnosis of a narrow complex tachycardia Common causes Sinus tachycardia Atrioventricular nodal re-entry tachycardia (AVNRT) Atrioventricular re-entry tachycardia (AVRT) Atrial tachycardia Atrial flutter Atrial fibrillation Rare causes Inappropriate sinus tachycardia Sinus node re-entry Permanent junctional reciprocating tachycardia Non-paroxysmal junctional tachycardia Focal junctional tachycardia Ref: 1. Diagnosis and management of supraventricular tachycardia ; BMJ 2012;345:e7769 2. Blomstrom-Lundqvist C, Scheinman MM, Aliot EM, Alpert JS, Calkins H, Camm AJ, et al. ACC/AHA/ESC guidelines for the management of patients with supraventricular arrhythmias; J Am Coll Cardiol2003;42:1493-531.